After splenectomy, most common infection is
1. Pneumococcus
2. Escherichia coli
3. Klebsiella
4. Streptococcus

Correct answer: 1. Pneumococcus

Explanation: Streptococcus pneumoniae cause infection when host resistance is lowered by contributory factors such as respiratory viral infection, pulmonary congestion, stress, malnutrition, immunodeficiency and alcoholism. Splenectomy and sickle cell disease are important predisposing conditions. Reference: Textbook of Microbiology; Anathanarayan and panicker's; 10th edition; Page no: 227